Drug induced pemphigus is most commonly caused by –
1. Penicillamine
2. Phenytoin sodium
3. Carbamazepine
4. Penicillin

Correct answer: 1. Penicillamine

Explanation: Drug induced pemphigus is caused by penicillamine, rifampicin and captopril.